The corneal epithelium is composed of –
1. Stratified keratinized epithelium
2. Stratified non–keratinized epithelium
3. Columnar epithelium
4. Pseudostratified epithelium

Correct answer: 2. Stratified non–keratinized epithelium

Explanation: The corneal epithelium is stratified squamous non-keratinized epithelium.